All of the following benign conditions are associated with increased rates of gastric cancer except:
1. Pernicious anemia
2. Multiple endocrine neoplasia type I (MEN 1)
3. Adenomatous polyps
4. Chronic atrophic gastritis

Correct answer: 2. Multiple endocrine neoplasia type I (MEN 1)

Explanation: Adenomatous polyps are unusual but carry the distinct potential for malignancy. They occur most often between the fifth and seventh decades of life. The adenocarcinoma sequence in gastric polyps is thought to be analogous to that of colonic polyps. An adenomatous polyp is a marker for increased risk of carcinoma in the remaining stomach. Both pernicious anemia and chronic atrophic gastritis are associated with gastric cancer. Many of these patients develop chronic achlorhydria, a condition also associated with an increased risk of cancer. Neither multiple MEN 1 nor MEN 2, is associated with gastric cancer.